External laryngocele is a herniation that arises from which of the following membrane?
1. Thyrohyoid membrane
2. Cricoepiglottic membrane
3. Thyroid membrane
4. Cricovocal membrane

Correct answer: 1. Thyrohyoid membrane

Explanation: A laryngocele is an air filled herniation of the saccule of the laryngeal ventricle. It is caused by a prolonged increase in intraglottic pressure in patients with a predisposing long sacculus. Laryngoceles are of two types internal and external. Internal laryngocele: are confined within the larynx and appear as cystic swellings of the aryepiglottic fold. External laryngocele: extend through the thyrohyoid membrane and lie lateral to the thyroid cartilage.